Utero-placental blood flow at term is :
1. 300-500 ml/min
2. 500-700 ml/min
3. 700-900 ml/min
4. 900-1100 ml/min

Correct answer: 2. 500-700 ml/min

Explanation: The uterine blood flow is increased to 500-700 ml/min at term. Reference: Mudaliar and Menon's clinical obstetrics,12th edition, page no:40